It is considered rape even after consent if:
1. Age < 16 years
2. Age < 18 years
3. Age < 21 years
4. Age < 25 years

Correct answer: 2. Age < 18 years

Explanation: Ans. Age < 18 years